Enzyme imiglucerase (Cerezyme) is used in the treatment of-
1. Gaucher's disease
2. Galactosemia
3. Niemann Pick disease
4. Trans-maxillary approach

Correct answer: 1. Gaucher's disease

Explanation: Ans. is 'a' i.e., Gaucher's disease o Imiglucerase (Cerezyme) is used in the treatment of Gaucher's disease.